Cidofovir is used for intralesional treatment of:
1. Respiratory pappilomatosis
2. EBV
3. Herpes zoster
4. Granuloma inguinale

Correct answer: 1. Respiratory pappilomatosis

Explanation: Respiratory pappilomatosis